All of the following are long acting Insulins except
1. Deterimer
2. Degludec
3. NPH
4. Glargine

Correct answer: 3. NPH

Explanation: NPH is an intermediate acting insulin.